The following statements about thyroglossal cyst are true, except
1. Frequent cause of anterior midline neck masses in the first decade of life
2. The cyst is located within 2 cm of the midline
3. Incision and drainage is the treatment of choice
4. The swelling moves upwards on protrusion of tongue

Correct answer: 3. Incision and drainage is the treatment of choice

Explanation: Thyroglossal cysts are the most common cause of midline neck masses. Can occur anywhere along the path of the thyroglossal duct, from the base of the tongue to the suprasternal notch (in the midline) Treatment must include excision of the whole thyroglossal tract, which involves removal of the body of the hyoid bone and the suprahyoid tract through the tongue base to the vallecula at the site of the primitive foramen caecum, (not incision and drainage) This operation is known as Sistrunk's operation and prevents recurrence Source : Bailet and Love Pg: 702